Which of the following is not true about hestitational cuts?
1. Usually over wrist, elbow
2. Multiple, small, superficial
3. Indicates homicidal nature of wound by intoxicated person
4. Gives an idea about mode of death

Correct answer: 3. Indicates homicidal nature of wound by intoxicated person

Explanation: Hesitational cuts are suicidal in nature, presence of these cuts gives an idea regarding psychological state of the person before death, and therefore possibly hint about mode of death.